Analgesic action of paracetamol is due to which receptors
1. NKl
2. BKI
3. TRPV-1
4. C2x3

Correct answer: 3. TRPV-1

Explanation: Ans: C. TRPV-1(Ref: Oxford textbook of Palliative care for children p. 712)Paracetamol was shown to be converted in the brain and spinal cord through a precess of deacetylation followed by conjugation with arachidonic acid to form N-arachidonoylphenolamine (AM404).AM404 is a known endogenous cannabinoid.Functions both as a potent actiyator of vanilloid subtype 1 receptors (TWV-1).Inhibitor of cellular anandamide uptake.Increases other endogenous cannabinoids levels acting directly on cannabinoid-1 receptors (CBI).TRPVI and CBI receptors are present in pain and thermoregulatory pathways, giving paracetamol its analgesic and antipyretic actions.